The glomus tumour invasion of jugular bulb is diagnosed by
1. Carotid angiography
2. Vertebral venous venography
3. X-ray
4. Jugular venography

Correct answer: 4. Jugular venography

Explanation: Jugular venography must be done to delineate multiple tumours, feeding vessels, embolization and involvement of jugular bulb, carotid artery or intradural extension. Ref: Dhingra 6th edition pg. 110